The antibiotic of choice for streptococcal pharyngitis is
1. Penicillin
2. Ampicillin
3. Erythromycin
4. Vancomycin

Correct answer: 1. Penicillin

Explanation: There are few bacteria for which antimicrobial susceptibility is highly predictable. However, some agents are the drug of choice because of their relative effectiveness. Among the three antibiotics that have been shown to treat legionellosis effectively (erythromycin, rifampin, and minocycline), erythromycin is clearly superior, even though in vitro studies show the organism to be susceptible to other antibiotics.Penicillin remains the drug of choice for S. pneumoniae and the group A streptococci, although a few isolates of penicillin-resistant pneumococci have been observed. Resistance among the pneumococci is either chromosomally mediated, in which case the minimal inhibitory concentrations (MICs) are relatively low, or plasmid-mediated, which results in highly resistant bacteria. The same is generally true for H. influenzae. Until the mid-1970s, virtually all isolates of H. influenzae were susceptible to ampicillin. There has been a rapidly increasing incidence of ampicillin-resistant isolates, almost 35 to 40% in some areas of the United States. Resistance is ordinarily mediated by b-lactamase, although ampicillin-resistant, b-lactamase-negative isolates have been seen. No resistance to penicillin has been seen in group A streptococci.C. difficile causes toxin-mediated pseudomembranous enterocolitis as well as antibiotic-associated diarrhea. Pseudomembranous enterocolitis is normally seen during or after administration of antibiotics. One of the few agents effective against C. difficile is vancomycin. Alternatively, bacitracin can be used.Lyme disease, caused by B. burgdorferi, has been treated with penicillin, erythromycin, and tetracycline. Treatment failures have been observed. Ceftriaxone has become the drug of choice, particularly in the advanced stages of Lyme disease.